All are seen in Brown - Sequard syndrome except
1. I/L Pyrimidal tract features
2. C/L Dorsal column
3. C/L Spinothalamic tract
4. I/L Plantar extensor

Correct answer: 2. C/L Dorsal column

Explanation: C i.e. Release norepinephrineTyramine, ephedrine & amphetamine (TEA) augment autonomic activity by releasing norepinephrineQ from endings of post-ganglionic neurons. Stnne drugs and toxins affecting Autonomic activity /IPSite of ActionCompounds That Augment Autonomic ActivityCompounds That Depress Autonomic ActivitySympathetic andparasympathetic ganglia* Stimulate postganglionic neurons- Nicotine- Low concentrations of acetylcholine* Inhibit acetylcholinesterase- DFP (diisopropyl fluorophosphate)- Physostigmine (Eserine)- Neostigmine (Prostigmin)- Parathion* Block conduction- Hexamethonium (C-6)- Mecamylamine (inversine)- Pentolinium- Trimethaphan (Arfonad)- High concentration of acetylcholineEndings ofpostganglionicnoradrenergic neurons* Release norepinephrine- Tyramine- Ephedrine- Amphetamine* Block norepinephrine synthesis- Metyrosine (Demser)* Interfere with norepinephrine storage- Reserpine- Guanethidine (Ismelin)* Prevent norepinephrine release- Bretylim (Bretylol)- Guanethidine (Ismelin)* Form false transmitters- Methyldopa (Aldomet) Muscarinic receptors Atropine, scopolamine a adrenergic receptors* Stimulate alreceptors- Methoxamine (Vasoxyl)- Phenylephrine (Neo-Synephrine)* Block a receptors- Phenoxybenzamine (Dibenzyline)- Phentolamine (Regitine)- Prazosin (Minipress) (block al)- Yohimbine (blocks a2) b adrenergic receptors* Stimulate 13 receptors- Isoproterenol (Isuprel)* Block $ receptors- Propranolol (Inderal) and others (blocks 01- Atenolol (Tnormin) and others (blocks 01)Butoxamine (blocks 02) C i.e. Release norepinephrine